Dose of anti D immunoglobin is -
1. 300 mgm
2. 200mgm
3. 30mgm
4. 3mgm

Correct answer: 1. 300 mgm

Explanation: Ans. is 'a' i.e., 300 mgm o Has been explained in previous sessions